Most common extraintestinal site for amoebiasis is:
1. Liver
2. Blood
3. Lung
4. Brain

Correct answer: 1. Liver

Explanation: Liver